Which of the following is true in cretinism –
1. Prolonged physiological jundice present
2. Common in iodine deficiency endemic areas
3. Delayed skeletal development
4. All of these

Correct answer: 4. All of these

Explanation: Physiological jaundice in patients with hypothyroidism persists for a longer period due to delayed maturation of glucuronide conjugation.